RS cells are seen in?
1. Hodgkin's disease
2. Sickle cell anaemia
3. Thalasemia
4. CML

Correct answer: 1. Hodgkin's disease

Explanation: Ans. is 'a' i.e., Hodgkin's disease * Hodgkin's disease is characterized by presence of Reed-sternberg cells (Classical Reed-sternberg cells) and its variants. RS cells are derived from B-cells of germinal center and induce accumulation of reactive, lymphocytes, histiocytes (macrophages) and granulocytes.